In an infrabony pocket the junctional epithelium lies
1. Apical to the root apices
2. Apical to the crest of the alveolar bone
3. Coronal to the crest of the alveolar bone
4. At the level of the alveolar bone

Correct answer: 2. Apical to the crest of the alveolar bone